To avoid contraception, DMPA is given:
1. Monthly
2. 3 Monthly
3. 6 Monthly
4. Yearly

Correct answer: 2. 3 Monthly

Explanation: Ans. is b, i.e. 3 monthlyRef: Jeffcoate 7th/ed, p812; Dutta Obs 6th/ed, p548; Park 20th/ed, p433-434; Leon Speroff 7th/ed, p962-963DMPA i.e. depot medroxyprogesterone acetate (depot provera) and Net en are progesterone only injectable contraceptives